Risk factor for suicide -
1. Female sex
2. Unmarried
3. Age 30 years
4. Married

Correct answer: 2. Unmarried

Explanation: Ans. is 'b' i.e., Unmarried Causes/Risk factors for suicidePsychiatric disorders : - Depression (most common), alcoholism (2nd me), Drug/Substance dependence, Schizophrenia, Dementia.Physical illness : - Cancer, AIDS, Multiple sclerosis, Head trauma.Psychosocial factors : - Failure in love, marital difficulties, family dispute, illegitimate pregnancy.Biological factors : - Decrease in serotoninOther - Male sex, Age > 40 years. Single (Unmarried, divorced or widowed), previous suicide attempt, social isolation.